Not a component of Glasgow coma scale -
1. Eye opening
2. Motor response
3. Pupil size
4. Verbal response

Correct answer: 3. Pupil size

Explanation: Ans. is 'c' i.e.. Pupil size o Harrison writes - "In severe head injury eye opening, the best motor response oj the limbs, and verbal output have been found to be roughly predictive of outcome; these are summarized using the " 'Glasgow coma scale '. Glasgow coma scale is used to determine the conscious level of the patient -A) Eye openingB) Verbal responseC) Motor responseSpontaneous-4Oriented-5Obeys commands-6To Voice-3Confused-4Localises pain-5To pain- 2Inappropriate words-3Withdraws (pain)-4None-1Incomprehensible sound-2Flexion (pain)-3 None-1Extension (pain)-2 None- 1Noneo Ranges from 3 to 15.o A score of 7 or less is classified as comao A score of 9 or more excludes coma